Multiple cavitatory lesion in lungs, hematuria and renal insufficiency are features in a patient with :
1. Polyarteritis nodosa
2. Churg Strauss syndrome
3. Wegener's granulomatosis
4. Temporal arteritis

Correct answer: 3. Wegener's granulomatosis